Inadequate depth of anaesthesia leads to all except
1. Lacrimation
2. Bradycardia
3. Mydriasis
4. Hypertension

Correct answer: 2. Bradycardia

Explanation: Inadequate depth of anaesthesia signs are

Hypertension
Mydriasis
Lacrimation
Sweating
Increased BMR